Witches chin is not associated with?
1. Ptosis of mentalis muscle
2. Long term edentulous mandible without denture
3. Loss of muscle attachment
4. Increased vertical dimensions

Correct answer: 4. Increased vertical dimensions